The pea-orbital view is carried out for -
1. Petrous apex
2. Mastoid process
3. Bilateral mastoid pathologies
4. Internal auditory meatus

Correct answer: 4. Internal auditory meatus